Swine flu is caused most commonly by-
1. H1N1
2. H5N1
3. H3N2
4. B virus

Correct answer: 1. H1N1

Explanation: (ref: park's text book 23rd edition) Swine flu is caused by the pandemic influenza virus( H1N1) Its incubation period varies from 2-3 days It differs in its pathogenicity from seasonal influenza in 2 ways: - majority of human population has little or no immunity against it,the impact of infection has been in a wider range. -virus can infect lower respiratory tract and cause rapidly progressive pneumonia,especially in children and young to middle aged adults. .